A community has population of 20% below 15 years and 15% above 65 years of age. calculate the dependency ratio.
1. 34%
2. 40%
3. 54%
4. 85%

Correct answer: 3. 54%